Which of the following mutation is seen in Cowden syndrome?
1. STK 11 mutation
2. SMAD 4 mutation
3. PTEN mutation
4. PTCH mutation

Correct answer: 3. PTEN mutation

Explanation: Mutation in PTEN gene: Breast tumors Endometrial tumors Skin appendage tumors Thyroid tumors Cowden syndrome: Dysplastic gangliogliocytoma of the cerebellum (Lhermitte Duclos disease), caused by mutations in PTEN resulting in PI3K/AKT signaling pathway PTEN